Swarming growth on culture is characteristic of which Gram positive organism -
1. Clostridium welchii
2. Clostridium tetani
3. Bacillus cereus
4. Proteus mirabilis

Correct answer: 2. Clostridium tetani